In Fox Fordyce disease, true is/are – a) Common in adult womanb) Bullous lesions are commonc) Common in areola & axillad) Associated with other malignancies
1. ac
2. bc
3. ad
4. b

Correct answer: 1. ac

Explanation: Fox Fordyce disease is due to chronic blockade of apocrine sweat gland ducts, with a secondary, non-bacterial inflammatory response to the secretions and cellular debris in the cyst. It is more common in women aged 13-35 years. Axilla is the most common site of involvement. Periareolar, inframammary and pubic areas can also be involved.